Congenital Rubella syndrome may have the following clinical features, except
1. Intrauterine growth retardation
2. Neonatal hepatitis
3. Congenital cataract
4. Hydrocephalus

Correct answer: 4. Hydrocephalus

Explanation: Microcephaly is more common.